Right hemithorax with right side shift of mediastinum is due to -
1. Collapse of Rt lung
2. Right side hemothorax
3. Hydrothorax Rt sided
4. Bronchiectasis

Correct answer: 1. Collapse of Rt lung